Amphotericin-B is obtained from:
1. Streptomyces nodosus
2. Streptomyces pimprina
3. Streptomyces nousseri
4. Streptomyces fragilis

Correct answer: 1. Streptomyces nodosus

Explanation: POLYENE ANTI BIOTICS The name polyene is derived from their highly double-bonded structure. Amphotericin B is described as the prototype. Amphotericin B (AMB): It is obtained from Streptomyces nodosus ESSENTIALS OF MEDICAL PHARMACOLOGY K.D.TRIPATHI SIXTH EDITION PAGE NO:757